A 40 year old male presented to casualty with severe pain in the left upper abdomen radiating to groin. Urine routine shows 6-8 pus cells and 15-20 RBCs . CT scan was taken. What is the diagnosis?
1. Aortic Aneurysm
2. Acute cholecystitis
3. Left ureteric calculus
4. Acute Colitis

Correct answer: 3. Left ureteric calculus

Explanation: A non-contrast CT clearly shows a calculus in the left upper ureter.Loin to groin pain, RBC in urine support the diagnosis.